Which of the following toxins acts by inhibiting protein synthesis -
1. Cholera toxin
2. Shiga toxin
3. Pertussis toxin
4. LT of enterotoxigenic E.coli

Correct answer: 2. Shiga toxin

Explanation: Toxin which acts by inhibiting protein synthesis:

Diphtheria toxin and Pseudomonas Exotoxin A: Inhibiting elongation factor 2
Shiga toxin and Verotoxin (Shiga like toxin) of EHEC: Inhibiting 60s ribosome